The most common site of osteoma is
1. Maxillary sinus
2. Ethmoidal sinus
3. Frontal sinus
4. Sphenoidal sinus

Correct answer: 3. Frontal sinus

Explanation: The commonest site of osteoma in the PNS is frontal sinus.Commonest benign tumor of PNS is an osteomaMost common benign tumor of the nose is capillary hemangioma (nasal septum)Gardner`s syndrome- Colonic polyposis, multiple soft tissue swellings, and facial osteomas(Autosomal Dominant hereditary defect of connective tissue)Ref: Hazarika; 3rd ed; Pg 370